Wrong statement given below about Vitreous Humor
1. Volume is 4 cc
2. Type 4 Collagen is most abundant here
3. Glucose is lesser in vitreous as compared to plasma
4. Hyaluronic acid is more in vitreous as compared to aqueous humour

Correct answer: 2. Type 4 Collagen is most abundant here

Explanation: Type 2 and not type 4 collagen is most common type of collagen in the vitreous cavity Vitreous humor *Volume: 4 cc * Type 2 collagen * Hyaluronic acid & Ascorbic acid is more than in aq. Humor * Glucose is lesser in VH than in plasma * Bergmelster's Papilla: Glial tissue projecting from optic disc * Mittendorf Dot: Anterior end of hyaline artery * Strongest attachment of Vitreous base: Ora serrata (other attachments: Optic disc, macula, blood vessels)